Dose of centchroman is ________
1. 30 mg
2. 60 mg
3. 120 mg
4. 240 mg

Correct answer: 1. 30 mg

Explanation: Dose of centchroman is 30 mg. Centchroman (ORMELOXIFEN) Centchroman is a synthetic nonsteroidal contraceptive taken as 30 mg tablet, started on the first day of menses and taken twice weekly for 12 weeks and weekly therafter (half-life is 170 hrs) Effects: It doesnot prevent ovulationn It prevents implantation through endometrial changes. It exhibits a strong antioestrogenic and a weak oestrogenic action peripherally at the receptor level. The return of fertility occurs soon after stoppage of the drug (within 6 months) Centchroman is not teratogenic or carcinogenic , exerts no pharmacological effect on other organs. The only side effect noted is prolonged cycles of and oligomenorrhea in 8% of cases. This drug can also be used as a postcoital phase. Preganancy rate is 1.83 per 100 woman years. The drug can also be used as a postcoital pill, given in 60 mg doese within 24 hrs of coitus (two tablets repeated 12 h later with failure rate of 1%). It has been developed by Central Drug research institute, Lucknow, and has been released in India under the name of Saheli Side effects: Headche, nausea, vomiting Gain in weight Doesnot protect against HIV or STD Prolonged use -hyperplasia and atypical endometrium Contraindications: PCOD, hepatic dysfunction, cervical dysplasia, allergy to the drug. Ref: Shaw's textbook of Gynaecology 17th edition Pgno: 269